Primary complex in which of the following sites suggest congenital tuberculosis
1. Lungs
2. Liver
3. Lymph nodes
4. Skin

Correct answer: 2. Liver

Explanation: Answer is B (Liver): Essentias of Tuberculosis in Children by Seth & Kabro (Jaypee) Primary Complex in the Liver suggests congenital tuberculosis. The only lesion in a neonate that is unquestionably associated with congenital infection is a primary complex in the liver; all others may be acquired congenitally or postnatally'- Avery's Diseases of the New born Diagnostic Criteria for Congenital Tuberculosis Beitzke' Criteria (1935) Bacteriological Proof of Tuberculosis Primary complex in Liver If primary complex is lacking in Liver then tuberculosis can be considered congenital only if: a. Tuberculous lesions present in fetus or newborn are only few days old b. Or in an older infant extrauterine infection can be excluded with ceainity Revised Criteria by Cantwell (1994) Lesion in first week of life A primary hepatic complex or caseating hepatic granuloma Tuberculous infection of placenta or maternal genital tract Exclusion of possibility of postnatal transmission by a thorough investigation of contacts including the infant's hospital attendants or birth attendants